Terminal end of retentive arm of extra coronal retainer is
placed at
1. Gingival third
2. Occlusal third
3. Middle third
4. Junction of middle & Gingival third

Correct answer: 1. Gingival third